Location of osmoreceptor is the:
1. Wall of atria
2. Anterior hypothalamus
3. Juxta glomerular apparatus
4. Wall of veins

Correct answer: 2. Anterior hypothalamus

Explanation: B i.e. Anterior hypothalamus